Maxillary nerve is transmitted ?
1. Foramen ovale
2. Foramen rotundum
3. Foramen lacerum
4. Foramen spinosum

Correct answer: 2. Foramen rotundum

Explanation: Maxillary nerve is a branch of Trigeminal nerve present in the floor of middle cranial fossa which passes through foramen rotundum. Lateral to it is present foramen ovale through which mandibular nerve passes & supplies the mandible. Middle meningeal artery passes through foramen spinosum . Emissary veins pass through foramen lacerum .